A 19-year-old male complains of Shortness of breath associated with wheezing after he takes aspirin for headache. In cases of aspirin hypersensitivity, which of the following mediators will be responsible for above mentioned condition?
1. Leukotriene LTC4
2. PGE2
3. Prostacyclin
4. Thromboxane

Correct answer: 1. Leukotriene LTC4

Explanation: Aspirin act by inhibiting PG synthesis by cyclo-oxygenase pathway, so PG precursors are diverted to form leukotrienes in the lipoxygenase pathway. In patients having aspirin hypersensitivity, this leads to bronchoconstriction and shortness of breath.